In skeletal class III malocclusion will show
1. ANB of +8°
2. ANB of -6°
3. ANB of 0°
4. ANB of +2°

Correct answer: 2. ANB of -6°